Which of the following is Autosomal Dominant-
1. Retinoblastoma
2. Ataxia telangiectasia
3. Bloom's syndrome
4. Xeroderma pigmentosa

Correct answer: 1. Retinoblastoma